Drug contraindicated in uterine fibroid:
1. Danazol
2. Estrogen
3. Mifepristone
4. GnRH analogue

Correct answer: 2. Estrogen

Explanation: Ans. B Estrogen Ref.: Shaws 15th ed. 1359; Williams Gynecology Ch: 9 * Leiomyomas are benign smooth muscle neoplasms that typically originate from the myometrium. They are often referred to as uterine myomas, and are incorrectly called fibroids because the considerable amount of collagen contained in many of them creates a fibrous consistency. Estrogen has a hormonal role in the patho-physiology of formation of fibroids. * Drugs used to decrease the size of the fibroid: # GnRH analogue (Buserelin, Nafarelin, Goserelin, Triptorelin, Leuprorelin acetate) # GnRH antagonist: Cetrirelix, Ganirelix # Mifepristone (anti-progesterone) # Danazol